In the international death certificate, one of the following is not true-
1. Part I of the certificate deals with the immediate cause only
2. Part I of of the certificate deals with the immediate cause and also the underlying cause
3. Part II records significantly associated diseases
4. The certificate has been recommended by the WHO for international use

Correct answer: 1. Part I of the certificate deals with the immediate cause only

Explanation: ref: Park's 23rd edition pg 56 International Death Certificate: Recommended by WHO for international use. 2 parts: PART 1: deals with immediate cause, and the underlying cause which started the whole trend of events leading to death. The underlying cause of death is reccorded on line (c). PART 2: any significant associated diseases that contributed to the death but did not directly lead to it.